Instrument used for gingival retraction during rubber
dam placement is
1. retainer no:208
2. retainer no:210
3. retainer no:212
4. retainer no:216

Correct answer: 3. retainer no:212